Coarctation of the aorta is common in which syndrome:
1. Down's
2. Turner's
3. Klinefelter's
4. Noonan's

Correct answer: 2. Turner's

Explanation: Answer is B (Turner's syndrome) Turner's syndrome is commonly associated with coarctation of aorta. Congenital Syndromes Cardiac anomaly Turner's syndrome Coarctation of Aorta Q Pulmonic stenosisQ Aortic stenosis Q Down's syndrome ASD Q -endocardial cushion type Noonan's syndrome (Nelson 6'" / 1747) Pulmonary stenosis Q ASD Hypertrophic cardiomyopathy